A 28-year-old taxi driver is chronically consumed by fears of having accidentally run over a pedestrian. Although he tries to convince himself that his worries are silly, his anxiety continues to mount until he drives back to the scene of the "accident" and proves to himself that nobody lies hurt in the street. This behavior is an example of which of the following?
1. A compulsion secondary to an obsession
2. An obsession triggered by a compulsion
3. A delusional ideation
4. A typical manifestation of obsessive-compulsive personality disorder

Correct answer: 1. A compulsion secondary to an obsession